Most common cause of upper gastrointestinal tract bleeding is:
1. Esophageal varices
2. Peptic ulcer
3. Gastritis
4. Mallory-Weiss tear

Correct answer: 2. Peptic ulcer

Explanation: Peptic ulcer is the most common cause of upper GI bleeding, present in one-half to two-third of patient with upper GI bleeding. Only 10-15% of'Heavy' drinkers develop alcoholic cirrhosis (leading to esophageal varices) Mallory - Weiss Syndrome Characterized by longitudinal partial tear (only mucosa + sub mucosa involved) Most common site is cardia (just below GE junction.) More common in Alcoholic males